Bacillus Bacillus anthracis toxin rediates its action through all except:
1. cAMP
2. Stimulating macrophages
3. TNFa
4. cGMP

Correct answer: 4. cGMP

Explanation: Ans. is. 'd' i.e. cGMP